Snow banking is ty pically seen in -
1. Parsplanitis
2. Endophthalmitis
3. Coat's disease
4. Eale's disease

Correct answer: 1. Parsplanitis

Explanation: Ans. is 'a' i.e.. Pars planitis o Pars planitis (Intermediate uveitis) denotes the inflammation of pars plana part of ciliary body and most peripheral part of the retina.o Most common symptom is floaters; defective vision may also occur.o Fundus examination in pars planitis reveals whitish exudates present near the ora serrata in the inferior quadrant,o These typical exudates are referred as snow hall opacities.o These may coalesce to form a grey white pique called snow banking.